Henoch Schonlein purpura is characterized by all the following except?
1. Glomerulonephritis
2. Thrombocytopenia
3. Hematochezia
4. Palpable purpura

Correct answer: 2. Thrombocytopenia

Explanation: Henoch Schonlein purpura is known as non- thrombocytopenic purpura. Clinical features of HSP Non- thrombocytopenic purpura Arthritis GI symptoms- intermittent colicky abdominal pain, large mesenteric lymph nodes and hemorrhage into the bowel. Renal involvement- hematuria, proteinuria,or acute renal failure. Hepatosplenomegaly and lymphadenopathy Neurological involvement- seizures, paresis, or coma.